Thumb sign is seen in?
1. Acute epiglottitis
2. Acute Laryngotracheobronchitis
3. Acute tonsillitis
4. laryngitis

Correct answer: 1. Acute epiglottitis